Which of the following structures is located in the posterior interventricular sulcus?
1. Oblique vein of the left atrium
2. Great cardiac vein
3. Coronary sinus
4. Middle cardiac vein

Correct answer: 4. Middle cardiac vein

Explanation: The middle cardiac vein runs in the posterior interventricular sulcus, and the small cardiac vein runs in the coronary sulcus along the right coronary artery. The great cardiac vein lies in the anterior interventricular sulcus. The coronary sinus continues to the right in the coronary sulcus. The oblique vein is usually very small and empties into the coronary sinus.